According to frankel behavioral rating scale, a negative child is the one
1. Who shows reluctance to accept treatment with some evidence of negative attitude
2. Who accepts treatment but at times cautiously
3. Cries forcefully but accepts treatment
4. Who refuses treatment and cries forcefully

Correct answer: 1. Who shows reluctance to accept treatment with some evidence of negative attitude